Calculate the deficit for a 60 kg person,with Hb - 5 g/dl add 1000 mg for iron stores.
1. 1500
2. 2500
3. 3500
4. 4000

Correct answer: 2. 2500

Explanation: Iron deficit = Bodyweight(kg) x 2.3 x (15 - Hb) + 1000
      = 60 x 2.3 x (15 - 5) + 1000
      = 2380 (close to 2500)